True statement regarding Acute high altitude pulmonary edema ncludes
1. Association with raised ESR
2. Mandates immediate descent
3. Usually occurance above 6000 metres height
4. None of the above

Correct answer: 2. Mandates immediate descent

Explanation: (B) Mandates immediate descent# High altitude pulmonary edema (HAPE) is a life-threatening form of non-cardiogenic pulmonary edema (fluid accumulation in the lungs) that occurs in otherwise healthy mountaineers at altitudes typically above 2,500 meters (8,200 ft).> Symptoms: at least two of: Difficulty in breathing (dyspnea) at rest Cough Weakness or decreased exercise performance Chest tightness or congestion> Signs: at least two of: Crackles or wheezing (while breathing) in at least one lung field Central cyanosis (blue skin color) Tachypnea (rapid shallow breathing) Tachycardia (rapid heartrate).> Mechanisms by which this shortage of oxygen causes HAPE are poorly understood, but two processes are believed to be important: Increased pulmonary arterial and capillary pressures (pulmonary hypertension) secondary to hypoxic pulmonary vasoconstriction. An idiopathic non-inflammatory increase in the permeability of the vascular endothelium.The standard and most important treatment is to descend to lower altitude as quickly as possible, preferably by at least 1000 metres.> Oxygen should also be given if possible. Symptoms tend to quickly improve with descent, but less severe symptoms may continue for several days.> Standard drug treatments for which there is strong clinical evidence are dexamethasone and nifedipine Phosphodiesterase inhibi- tors such as tadalafil are also effective but may worsen the headache of mountain sickness.